All of the following murmurs may be heard in patients with aortic reugurgitation except -
1. High-pitched decrescendo diastolic munnur
2. Soft , low pitched middiastolic rumbling murmur.
3. Mid-systolic ejection flow murmur
4. Pansystolic murmur.

Correct answer: 4. Pansystolic murmur.